Tryptophan is
1. Glucogenic
2. Ketogenic
3. Both glucogenic & ketogenic
4. None

Correct answer: 3. Both glucogenic & ketogenic

Explanation: During metabolism Tryptophan, part of carbon skeleton enters ketogenic pathway and rest glucogenic pathway. Alanine is glucogenic and Acetoacetyl CoA is ketogenic.